Visual hallucinations are seen in:
1. Hebephrenic schizophrenia
2. Residual schizophrenia
3. Simple schzophrnia
4. All

Correct answer: 1. Hebephrenic schizophrenia

Explanation: A i.e. Hebephrenic schizophreniaVisual hallucinations should always raise the possibility of organic brain disorder (deliriumQ > dementia), temporal lobe epilepsyQ, although they also occur in severe affective (mood) disorders, schizophreniaQ and dissociative disorders.Although hallucinations are included in diagnostic A criteria of schizophrenia, these are usually auditory. And inresidual schizophrenia, there is absence of prominent delusions, hallucinations, disorganized speech and grossly disorganized or catatonic behaviourQ.simple deteriorative (simple) schizophrenia, there is absence of persistent hallucinations or delusionsQ